Concentric hypertrophy of left ventricle is seen in
1. Mitral stenosis
2. Hypertension
3. Aortic regurgitation
4. None

Correct answer: 2. Hypertension

Explanation: In pressure overload states (e.g., hypertension or valvular stenosis), new sarcomeres tend to be added parallel to the long axis of the myocytes, adjacent to existing sarcomeres. The growing muscle fiber diameter thus results in concentric hypertrophy--the ventricular wall thickness increases without an increase in the size of the chamber. The chronic pressure overload of systemic hypertension causes left ventricular concentric hypertrophy, often associated with left atrial dilation due to impaired diastolic filling of the ventricle. Persistently elevated pressure overload can cause ventricular failure with dilation. (Robbins Basic Pathology,9th edition,pg no.386,388)